Recent Hepatitis infection is best diagnosed by-
1. Hbs Ag
2. Ig G Anti HBe abs
3. Anti HBs Ag abs
4. IgM anti HBc abs

Correct answer: 4. IgM anti HBc abs